Wiscott Aldrich syndrome commonly consists of following except?
1. Recurrent bacterial infections
2. Eczema
3. Bleeding
4. Urethritis

Correct answer: 4. Urethritis

Explanation: Urethritis